A 17 year old female underwent FNAC for a lump in the breast which was non-tender, firm and mobile. Histopathology reveals tightly arranged ductal epithelial cells with dyscohesive bare nuclei . What is the diagnosis ?
1. DCIS
2. Fibroadenoma
3. Phyllodes tumour
4. LCIS

Correct answer: 2. Fibroadenoma

Explanation: Phyllodes- leaf like appearance on cut section . Dual origin of mammary epithelium and connective tissue (stroma) LCIS - Indian File Pattern DCIS - may show cribriform , comedo or papillary growth patterns . Tightly arranged epithelial cells with discohesive bare nuclei are suggestive of benign breast disease likely Fibroadenoma *